Fatal familial insomia is associated with -
1. Prion disease
2. Degeneration disease
3. Neoplastic disease
4. Vascular disease

Correct answer: 1. Prion disease

Explanation: fatal familial inaomnia is a human prion disease REF:ANATHANARAYANAN MICROBIOLOGY NINTH EDITION PAGE.557